In complicated cataract opacity develops in
1. Anterior capsule
2. Nucleus
3. Posterior subcapsular
4. Cortical

Correct answer: 3. Posterior subcapsular

Explanation: Answer-C. Posterior subcapsularComplicated cataract refers to the lens opacification secondary to some other intraocular disease, Anterior uveitis is the most common cause.Posterior cortical complicated cataract : - This type of cataract is due to affections of posterior segment. This cataract is located in a posterior subcapsular cataract and typically opacification starts in the posterior part of the cortex in the axial region.